Which of the following glucogenic amino acid enters the citric acid cycle at succinyl CoA
1. Phenylalanine
2. Tyrosine
3. Isoleucine
4. Tryptophan

Correct answer: 3. Isoleucine

Explanation: Ans. is 'c' i.e., isoleucine